Cholecysto-caval line importance
1. Line that divides the Right and left liver surgical anatomy wise
2. Line that divides the Left liver into medial and lateral segments
3. Line that runs along the Portal vein
4. Line that divides Right liver into anterior and posterior segments

Correct answer: 1. Line that divides the Right and left liver surgical anatomy wise

Explanation: * Cholecystocaval line also known as Cantle's line is an imaginary line running from Gallbladder fossa to left side of IVC. * It's an imaginary line that is drawn by Coiunaud for surgically dividing the liver into Right and left liver. * Middle hepatic vein runs on this line. Ref:- Surgery Sixer 3rd Edition; Pg num:- 628